Which antitubercular agent is associated with side effects as respiratory syndrome, cutaneous syndrome, Flu syndrome and abdominal syndrome:
1. Isoniazid
2. Rifampicin
3. Pyrazinamide
4. Ethambutol

Correct answer: 2. Rifampicin

Explanation: Ans. B: Rifampicin During therapy, rifampicin is usually well-tolerated, however, adverse side-effects are common in intermittent rifampicin intake. Respiratory syndrome-breathlessness which may be associated with shock and collapse Cutaneous syndrome-Flushing, pruritis, rash, redness and watering of the eyes. Flu syndrome-Chills, fever, headache, malaise and bone pain Abdominal syndrome-nausea, vomiting, abdominal cramps Other include febrile reaction, eosinophilia, leucopenia, thrombocytopenia, purpura, haemolysis and shock, hepatotoxicity and nephrotoxicity. Gastrointestinal adverse reactions may be severe leading to pseudomembranous colitis. Neurotoxic effects include confusion, ataxia, blurring of vision, dizziness and peripheral neuritis. A common toxic effect is red skin with orange discolouration of body fluids.